True statement regarding Halothane is
1. Hepatitis occurs in susceptible individuals after repeated dose
2. It potentiates competitive neuromuscular blockers
3. Causes respiratory depression
4. All of the above

Correct answer: 4. All of the above

Explanation: (All of the above) (339 - 40 KDT) (372-KDT 6th)HALQTHANE - Volatile liquids with sweat odour, non irritant and non inflammable pleasant, and rapid action* It is not a good analgesic or muscle relaxants. It potentials competitive neuro muscular blockers* Halothane cause direct depression of myocardial contractility by reducing intracellular Ca++ concentration* Halothane causes relatively greater depression of respiratory breathing is shallow and rapid* Pharyngeal and laryngeal reflexes are abolished early and coughing is suppressed, while bronchi dilates"preferred for asthmatics"* Hepatitis occurs in susceptible individuals after repeated use* Malignant hyper thermia occurs rarely